Shortest diameter of the pelvic outlet is :
1. Interspinous diameter
2. Antero posterior diameter
3. Posterior sagittal diameter
4. None of the above

Correct answer: 3. Posterior sagittal diameter

Explanation: Posterior sagittal diameter